Protein synthesis in eukaryotes is different from prokaryotes. Which of the following is NOT TRUE about steps in initiation of eukaryotic protein synthesis?
1. Dissociation of the ribosome into its 40S and 60S subunits
2. Binding of a ternary complex to the 40S ribosome
3. Binding of mRNA to the 60S preinitiation complex to form the 43S initiation complex
4. Combination of the 48S initiation complex with the 60S ribosomal subunit

Correct answer: 3. Binding of mRNA to the 60S preinitiation complex to form the 43S initiation complex

Explanation: Initiation of protein synthesis can be divided into four steps: Dissociation of the ribosome into its 40S and 60S subunits; Binding of a ternary complex consisting of the initiator methionyl-tRNA, (met-tRNAi), GTP, and eIF-2 to the 40S ribosome to form the 43S preinitiation complex; Binding of mRNA to the 40S preinitiation complex to form the 48S initiation complex; and Combination of the 48S initiation complex with the 60S ribosomal subunit to form the 80S initiation complex. Ref: Weil P. (2011). Chapter 37. Protein Synthesis & the Genetic Code. In D.A. Bender, K.M. Botham, P.A. Weil, P.J. Kennelly, R.K. Murray, V.W. Rodwell (Eds), Harper's Illustrated Biochemistry, 29e.